Which of the following is a live attenuated bacterial vaccine?
1. Tetanus
2. Hepatitis B vaccine
3. Injectable polio vaccine
4. BCG

Correct answer: 4. BCG

Explanation: ANSWER: (D) BCGREF: APPENDIX-46 below for "TYPES OF VACCINE"Live vaccines can me memorized as "BOMBEY-VT"; BCG, OPV (sabin), MMR (mumps, measles & rubella), Bubonic plague, epidemic typhus, yellow fever (17D), vaccinia, Oral Typhoid vaccine (Ty21a) APPENDIX - 46Types of VaccineTypeContentExamplesKilled vaccineskilled, but previously virulent, microorganisms that have been destroyed with chemicals or heat.Avian Flu vaccine; developed by Reverse Genetics techniques. Reverse genetics' is an approach to discovering the function of a gene by analyzing the phenotypic effects of specific gene sequences obtained by DNA sequencing. This investigative process proceeds in the opposite direction of so- called forward genetic screens of classical genetics. Simply put, while forward genetics seeks to find the genetic basis of a phenotype or trait, reverse genetics seeks to find what phenotypes arise as a result of particular genes.